Dosage of Albendazole given as per National deworming program in <2years old child.
1. 200mg
2. 400mg
3. 500mg
4. 2 tablets of 400 mg

Correct answer: 1. 200mg